Average reproductive life span of ovum is?
1. 6-12 hrs
2. 12-24 hrs
3. 24-36 hrs
4. 3 days

Correct answer: 2. 12-24 hrs

Explanation: Ans. is 'b' i.e.,12-24 hrsReproductive life of ovum - 24 hours (12 - 24 hours)Reproductive life of sperm - 24 - 72 hours